Which of the following is an advantage of losartan over enalapril
1. Better prevention of secondary myocardial events
2. Better efficacy in lower blood pressure
3. Less cost
4. Less incidence of angioedema

Correct answer: 4. Less incidence of angioedema

Explanation: Pharmacologically, ARBs differ from ACE inhibitors in the following * ARB's do not interfere with degradation of bradykinin and other ACE substrates: no rise in level or potentiation of bradykinin, substance P occurs. Consequently, ACE inhibitor related cough,angioedema is rare. Ref:- kd tripathi; pg num:-506